A 5 year boy has multiple asymptomatic oval and circular faintly hypopigmented macules with fine scaling on his face. The most probable cilinical diagnosis is –
1. Ptyriasis versicolor
2. Indeterminate leprosy
3. Pityriasis alba
4. Acrofacial vitiligo

Correct answer: 3. Pityriasis alba